Corticosteroid with maximum sodium retaining potential is:
1. Hydrocortisone
2. Prednisolone
3. Fludrocortisone
4. Deoxycorticosterone

Correct answer: 3. Fludrocortisone

Explanation: Fludrocortisone